Which of the following drug is not used for the treatment of Alzheimer's disease:
1. Tacrine.
2. Physostigmine.
3. Rivastigmine.
4. Donepezil.

Correct answer: 2. Physostigmine.

Explanation: Alzhiemer's

Tacrine
Donepezil
Rivastigmine
Gallantamine